The anti-inflammatory mediator is?
1. Interleukin 4
2. Interleukin 1
3. Interleukin 6
4. TNF- Alpha

Correct answer: 1. Interleukin 4

Explanation: IL-4 has mainly anti-inflammatory property with some proinflammatory action. Proinflammatory cytokines
i) Major:- IL-1, TNF- alpha, IL-6
ii) Other:- IL-2, IL-4, IL-5, IL-6, IL-8, IL-11, IL-12, IL-15, IL-21, IL-23, IFN-gamma, GM-CSF 
Anti-inflammatory cytokines
i) IL-4, IL-10, IL-13, and transforming growth factor β (TGF-β)